Columella effect is seen in:
1. Tympanoplasty
2. Septoplasty
3. Tracheostomy
4. None of the above

Correct answer: 1. Tympanoplasty

Explanation: Ans. A tympanoplasty As discussed- columella effect is seen in Type III tympanoplasty Type III tympanoplasty is also the M/C type of tympanoplasty performed